Which of following is the most common antecedent infection associated with Guillain-Barre syndrome-
1. Mycoplasma
2. Epstein-Barr virus
3. Chlamydia infection
4. Campylobacter jejuni

Correct answer: 4. Campylobacter jejuni

Explanation: Ans. is 'd' i.e., Campylobacter jejunio Campylobacter ieiuni enteritis has emerged as the most common antecedent infection in patients with Guillain- Barre syndrome in recent years.# "In the last few years, Campylobacter jejuni enteritis has been identified as the most common antecedent infection in patients with Guillain-Barre syndrome, occurring in about 30% "o Antecedent infections common with G.B.S.o Antecedent infections are thought to trigger the immune response that leads to acute polyneuropathy,o Approximately 2/3rdpatients gives history of antecedent respiratory or gastrointestinal tract infection.o Campylobacter infection most commonly identified (implicated in 30% cases)Other common infections are :# Cytomegalovirus# Epstein Barr virus# Mycoplasma pneumonial# Influenza like illnessA samll percentage of patient develop GBS after triggering events such as :# Immunisation# Surgery# Trauma# Bone marrow transplantation